Which of the following acts as the major neurotransmitter in substantia nigra
1. Dopamine
2. Noradrenaline
3. Acetylcholine
4. Serotonin

Correct answer: 1. Dopamine

Explanation: In substantia nigra, dopamine is the major neurotransmitter.